All are reversible method of contraception, except
1. OCP
2. Vasectomy
3. IUCD
4. Depot injection

Correct answer: 2. Vasectomy